An AIDS patient having a CD4 count of 100/microL having persistent fever and weight loss associated with invasive pulmonary disease due to M.avium, appropriate management
1. Select an antibiotic regimen based on drug susceptibility of the cultured organism
2. Start treatment with isoniazid and rifampin
3. Treat the patient with clarithromycin, ethambutol and rifabutin
4. None

Correct answer: 3. Treat the patient with clarithromycin, ethambutol and rifabutin

Explanation: Mycobacterium avium complex infection is treated with a combination of rifabutin, ethambutol and clarithromycin.